Traveller's diarrhoea is caused by:
1. Shigella
2. E.Coli
3. E. histolytica
4. Giardiasis

Correct answer: 2. E.Coli

Explanation: Ans. is 'b' i.e. E. Coli Traveller's Diarrhoea is caused by all of the organism given in the Question . But the most common cause of traveller's diarrhoea is Enterotoxigenic strain of E. Coli.Other organisms causeing Traveller's Diarrhoea are:ShigellaSalmonellaYersiniaCampylobacterGiardiaEntamoeba histolytica